Ideal age for orchiopexy for cryptorchidism is
1. At 6-10 yrs
2. At 1-2 yrs
3. At puberty
4. < 1 yr of age

Correct answer: 4. < 1 yr of age

Explanation: Ans. is 'd' i.e. < 1 yr of age Campbell's Urology writes - "Definitive treatment of an undescended testis should take place between 6 and 12 months of age. Because spontaneous descent occurs in most boys by 3 months of age and uncommonly thereafter, earlier interventions should be considered in order to theoretically prevent the complication of cryptorchidism that may be manifested before 1 yr of age